A hypertensive pregnant woman at 34 weeks comes with history of pain in abdomen, bleeding per vaginum and loss of fetal movements. On examination the uterus is contracted with increased uterine tone. Fetal heart sounds are absent. Which of the following is the most likely diagnosis?
1. Polyhydramnios
2. Placenta previa
3. Premature labour
4. Abruptio placenta

Correct answer: 4. Abruptio placenta

Explanation: The patient in the question is suffering from abruption placentae mixed variety. Features of abruption placenta mixed variety includes acute intense abdominal pain followed by slight vaginal bleeding, severe pallor, tense tender and rigid uterus, difficult to make out fetal parts, absent fetal heart sounds, diminished urine output and markedly low hemoglobin. Ref: Textbook of Obstetrics By D.C.Dutta, 6th Edition, Pages 254-259